Restoration of an appropriate proximal contact results in all of the following except _____.
1. Reduction/elimination of food impaction at the interdental papilla.
2. Provide appropriate space for the interdental papilla.
3. Provide increased retention form for the restoration.
4. Maintenance of the proper occlusal relationship.

Correct answer: 3. Provide increased retention form for the restoration.

Explanation: Proper proximal contacts reduce the potential for food impaction, thereby preserving the health of the underlying soft tissue. A missing proximal contact may result in tooth movement that will have an adverse effect on the occlusal relationship of the tooth. Having a correct contact does not enhance the retentive properties of the restorative material.